NOT a radiological feature of osteoarthritis
1. Osteophytes
2. Subchondral bone is translucent
3. Narrowing of joint space
4. Cystic lesions close to articular surface.

Correct answer: 2. Subchondral bone is translucent